Throglossal cyst most common level -
1. Base of tongue
2. At or below hyoid bone
3. Near pyramidal lobe
4. Above hyoid bone

Correct answer: 2. At or below hyoid bone

Explanation: Ans. is 'b' i.e., At or below hyoid bone o Thyroglossal remnants are involved in embryogenesis of the thyroid gland, tongue and hyoid bone and produce midline masses extending from the base of tongue ( foramen cecum) to the pyramidal lobe of thyroid gland,o The mass is most commonly appreciated in 2 to 4 years old child when the body fat dissapears and irregularities in neck became more apparent.o Thyroglossal cysts may be located in the midline of neck anywhere from base of tongue to the thyroidgland. Most, however, are found at or just below the hyoid bone.